Multiple drug resistance is transferred through :
1. Transduction
2. Transformation
3. Conjugation
4. Mutation

Correct answer: 3. Conjugation

Explanation: Multiple drug resistance is transferred through plasmids, mostly by conjugation.